A very ill neonate has widespread granulomas. In utero infection with which of the following organisms is suggested by this finding?
1. Clostridium botulinum
2. Escherichia coli
3. Haemophilus influenzae
4. Listeria monocytogenes

Correct answer: 4. Listeria monocytogenes

Explanation: All of the organisms listed can cause infection in infants, but Listeria monocytogenes is the one to cause potentially fatal granulomas (granulomatis infantiseptica) following in utero infection. Clostridium botulinum can cause infant botulism, characterized by failure to thrive, and progressive muscular weakness. Escherichia coli can cause diarrhea, pneumonia, and meningitis in infants. Haemophilus influenzae can cause acute epiglottitis, meningitis, pneumonia, and otitis media in young children. Ref: Ray C.G., Ryan K.J. (2010). Chapter 26. Corynebacterium, Listeria, andBacillus. In C.G. Ray, K.J. Ryan (Eds), Sherris Medical Microbiology, 5e.